The specific antidote for benzodiazepine poisoning is:
1. Naloxone
2. Flumazenil
3. Fomepizole
4. Pralidoxime

Correct answer: 2. Flumazenil